Which phase provides maximum strength in hardened mercury/silver alloy?
1. Silver / Mercury phase
2. Silver / Tin phase
3. Tin / Mercury phase
4. Zinc / Mercury phase

Correct answer: 2. Silver / Tin phase